Which of the following is rapidly adapting receptors
1. Merkel cells
2. Pacinian corpuscle
3. Free nerve endings
4. Ruffini endings

Correct answer: 2. Pacinian corpuscle